Loss of heterozygosity is associated with -
1. Acute myeloid leukemia
2. ALL
3. Retinoblastoma
4. Promyelocytic leukemia

Correct answer: 3. Retinoblastoma